Non Inflammatory edema of optic disc due to raised intracranial pressure is called -
1. Glaucomatous optic atrophy
2. Papilloedema
3. Optic neuritis
4. Bird shot retinopathy

Correct answer: 2. Papilloedema

Explanation: Ans. is 'b' i.e., Papilloedema o Papilloedema is non-inflammatory edema of optic disc caused by increased intracranial tension (1CT). It is worth noting here that edema of disc can also be caused by other causes (other than increased ICT). So, the term disc edema or disc swelling is used to include all types of edema of the optic disc whether caused by increased ICT (papil loedema) or by other causes like inflammation (papillitis), ocular diseases (uveitis), orbital causes (tumors) and vas cular causes (anemia, uremia).